All are TRUE about foregut carcinoid tumors, EXCEPT:
1. Foregut tumors generally have a low serotonin content
2. Argentaffin-negative but argyrophilic
3. Often multi hormonal
4. Bone metastasis in not a feature

Correct answer: 4. Bone metastasis in not a feature

Explanation: Foregut carcinoid tumors generally have a low serotonin content. They are argentaffin-negative but argyrophilic and occasionally secrete adrenocorticotropic hormone or 5-hydroxytryptophan, causing an atypical carcinoid syndrome. They are often multi hormonal and metastasize to bone. Ref: Harrisons Principles of Internal Medicine, 18th Edition, Page 3058.